Which of the following specimens should never be refrigerated
1. H.influenzae
2. P.aeruginosa
3. Moraxella catarrhalis
4. Escherichia coli

Correct answer: 1. H.influenzae

Explanation: H.influenzae ishighly sensitive to low temperature.